In episodic positional vertigo which of the following tests is used?
1. Caloric test
2. Dix-Hallpike manoeuvre
3. Rotation test
4. Electronystagmography

Correct answer: 2. Dix-Hallpike manoeuvre

Explanation: In a patient complaining of vertigo related to position of head, Dix-Hallpike manoeuvre is performed. The patient is laid supine with head hanging and turned to right or left to see if vertigo and/or nystagmus can be provoked. It also helps to differentiate a peripheral from central cause of vertigo.Caloric test, both monothermic or bithermic, is used to test function of horizontal canals. Reduced or absent function indicates canal paresis with caloric test response from each ear can be tested separately.Rotation tests stimulate both labyrinths simultaneously.Electronystagmography is the method to detect and record nystagmus which is spontaneous or induced by caloric, positional optokinetic or rotational stimulus.